Shaking palsy is associated with poisoning with -
1. Lead
2. Mercury
3. Arsenic
4. Strontium

Correct answer: 2. Mercury

Explanation: Concussio mercuralis (shaking palsy) is seen in mercury poisoning.